Sipple syndrome is also known as:-
1. MEN 1
2. MEN 2a
3. MEN 26
4. None of the Above

Correct answer: 2. MEN 2a

Explanation: Answer is B (MEN 2a): Sipple syndrome refers to MEN Type-HA